Site of action of levetiracetam is
1. GAT
2. AMPA
3. NMDA
4. SV2A

Correct answer: 4. SV2A

Explanation: Levetiracetam acts on SV2A